Which one of the investigation modalities can diagnose gestational diabetes in a primigravida?
1. HbA1C
2. FBS
3. GCT
4. GTT

Correct answer: 4. GTT

Explanation: The diagnosis of gestational diabetes is based on the result of the glucose tolerance test. If a GCT is +ve a GTT should be done to confirm gestational diabetes. Procedure: Screening with 50g, 1-hr glucose challenge test (GCT) Plasma glucose >140 mg/dL. Diagnosis with 100g, 3-hr glucose tolerance test (GTT) Fasting - 95 mg/dL 1 hr - 180 mg/dL 2 hrs - 155 mg/dL 3 hrs - 140 mg/dL Two abnormal values on GTT confirm gestational diabetes.